Which of the following is not true regarding Renal Cell Carcinoma?
1. More common in males
2. Has a tendency to invade the renal vessels
3. Usually situated near the poles
4. Hematuria is not a feature

Correct answer: 4. Hematuria is not a feature

Explanation: The classic triad is hematuria, flank pain and an abdominal mass. It is more common in men than women: the male-to-female ratio is 1.6:1. Unlike transitional cell carcinoma, renal cell carcinoma has a tendency to extend into the venous system. Hepatocellular carcinomas are another cancer with a tendency to invade veins.